A child with repeated skin infections presents with a liver abscess. The possible organism is -
1. S.Mileri
2. B.Fragilis
3. S.Aureus
4. S.Agalactiae

Correct answer: 3. S.Aureus

Explanation: Ans. is 'c' i.e., S. Aureus -Liver abscess in children]Liver abscess in childreno Pyogenic liver abscess is more common in children followed by amoebic and fungalo It mainly occurs by hematogenous disseminationo Staphylococcus aureus is the most common organismo "Skin infections are common in children.These provide a source of bacteremia and inoculation of infection in liver. Significant co-relations have been documented between pyogenic liver abscesses and skin infections in some large series of children with liver abscesses. Predominant organism is Staphylococcus aureus. Chromobacterium violaceum sepsis in tropics and subtropics can present as skin and liver infection."